Commonest treatment of Branchial cyst-
1. Cystectomy
2. Aspiration
3. Excision
4. Nothing done

Correct answer: 3. Excision